Integrated management of neonatal and childhood illness includes all except:
1. Malaria
2. Respiratory infections
3. Diarrhea
4. Tuberculosis

Correct answer: 4. Tuberculosis

Explanation: Integrated management of neonatal and childhood (IMNCI) illnesses: 1. Diarrhea. 2. Measles. 3. Pneumonia. 4. Malaria. 5. Severe malnutrition and nutritional counseling.